Flavivirus associated with congenital microcephaly is
1. West Nile virus
2. Yellow fever virus
3. Zika virus
4. Dengue virus

Correct answer: 3. Zika virus

Explanation: Ref: Ananthanarayana textbook of Microbiology 9th edition Pgno : 520 FLAVIVIRIDAEFamily Characteristics* Enveloped, icosahedral* Positive-sense ssRNA* Arthropod-borne (arboviruses) Virus Disease St. Louis encephalitis virus Encephalitis West Nile encephalitis virus Encephalitis Dengue Break bone fever (rash, muscle and joint pain), reinfection, can result in dengue hemorrhagic shock Yellow Fever virus Yellow fever: liver, kidney, heart, and GI(black vomit) damage Zika Mild - febrile illness of rash and arthralgiaCongenital: microcephaly and fetal demise